. The triad originally described by Zollinger Ellison syndrome is characterized by
1. Peptic ulceration, gastric hypersecretion, non beta cell tumour
2. Peptic ulceration, gastric hypersecretion, beta cell tumour
3. Peptic ulceration, achlorhydria, non beta cell tumour
4. Peptic ulceration, achlorhydria, beta cell tumour

Correct answer: 1. Peptic ulceration, gastric hypersecretion, non beta cell tumour

Explanation: Answer is A (Peptic Ulceration, Gastric Hypersecretion, Non (3 Cell Tumour) Zollinger Ellison Syndrome is characterised by peptic ulceration due to gastrin hyper secretion by a non beta cell tumor.